Early eruption of secondary syphilis are all except-
1. Intensely pruritic
2. Papular /maculo papular eruption
3. Symmeterical
4. Plemorphic

Correct answer: 1. Intensely pruritic

Explanation: A i.e. Intensly pruritic